Gram staining sequence is
1. Carbol fuchsin – Iodine – Acetone – Methyl violet
2. Methyl violet  –  Iodine – Acetone – Carbol fuchsin
3. Methyl violet – Acetone – Iodine – Carbol fuchsin
4. Carbol fuchsin – Acetone – Iodine – Methyl violet

Correct answer: 2. Methyl violet  –  Iodine – Acetone – Carbol fuchsin

Explanation: Primary stain – Crystal violet or Methyl violet 
Mordant – Gram's iodine
Decolorizer – Acetone or Ethanol
Secondary stain – Safranin or Carbol fuchsin